First trimester abortion uses all, except:
1. Mifepristone
2. Extra-amniotic ethacrydine lactate
3. Dilatation and evacuation
4. Suction evacuation

Correct answer: 2. Extra-amniotic ethacrydine lactate

Explanation: Ans. Extra-amniotic ethacrydine lactate